Diuretics of choice for acute pulmonary edema -
1. Loop diuretics
2. Thiazides
3. Spironolactone
4. Mannitol

Correct answer: 1. Loop diuretics

Explanation: Ans. is 'a' i.e., Loop diuretics Pharmacological treatment of acute pulmonary edemao Acute left ventricular failure and pulmonary edema is a medical emergency,o In acute left ventricular failure, there is accumulation of fluid in lungs - acute pulmonary edema,o Loop diuretics (Furosemide) is the DOC for acute pulmonary edema.o In acute left ventricular failure and pulmonary edema, furosemide has benefical effect because of venodilatory action (not because of diuretic action).o Intravenous furosemide causes promt increase in systemic venous capacitance and decreases left ventricular filling pressure even before the diuretic action becomes apparent.I.V. Furosemide|Venodilation|| Venous capacitance|| Preload|| Lt. ventricle filling pressure|| Pulmonary pressure|| Pulmonary edemao In contrast, diuretic action of Furosemide is responsible for symptomatic improveml in chronic heart failure.o Other drugs used for acute pulmonary edema :1. Morphine-is a transient venodilator that reduces preload while relieving dysnea and anxiety.2. Nitrates-Act by decreasing preload and L. V. filling pressure.3. ACE inhibitors-Act by reducing both afterload and preload, o Recommended in hypertensive patients.4. Recombinant BNP (Nesiritide) - Acts by reducing preload and afterload.5. Inotropic agents (Dopamine, dobutamine, milirinone)o They act by stimulating cardiac contractility.o They are indicated in patients with acute pulmonary edema with severe left ventricular dysfunction.6. Digitalis glycosideso Once a mainstay of treatment because of their inotropic action, digitalis glycosides are rarely used at present.o However, they may be useful for control of ventricular rate in patients with rapid atrial fibrillation or flutter and LV dysfunction, since they do not have negative inotropic effects of other drugs that inhibit AV node conuction.